The correlation between IMR and Socio Economic status is best depicted by:
1. Correlation (+1)
2. Correlation (+0.5)
3. Correlation (-1)
4. Correlation (-0.8)

Correct answer: 4. Correlation (-0.8)

Explanation: Attempts at empirical estimation have focused on the cross-sectional relationship between mortality and economic level. Most commonly, the relationship between national infant mortality rates and levels of income has been examined. Coefficients of correlation between the variables have been found to be consistently high, of the order of -0.8. The relationship is sufficiently strong for infant mortality rates on occasion to have been used as indicators of income levels when the requisite data for computing the latter are missing. Gordon et al. have suggested that the death rate of children in their second year of life may be a better indicator of general health levels than infant morality, which responds to a number of influences not present at other ages. Frederiksen provides partial support by showing that death rates at ages 1-4 are more closely correlated with gross national product per head in 15 countries than are death rates at ages 0-1, 20-24, or 65-69. Ref : url=http%3A%2F%2Fije.oxfordjournals.org%2Flookup%2Fresid%2Fdym075v1%3Fview%3Dfull%26uritype% 3Dcgi&ei=Vn5jUpitA4KIrQfjq4GYCg&usg=AFQjCNFM80KzIoZ4f2idVjlx94wKxWq2Vw&bvm=bv.54934254,d.b mk